All among the following are characteristics of postmortem abrasions except
1. Exudation is more and scab is slightly raised
2. Yellowish, translucent, Parchment like color
3. Usually over bony prominences
4. No intra-vital reaction is seen

Correct answer: 1. Exudation is more and scab is slightly raised

Explanation: Source Ante mortem wounds Post-mortem wounds Site Anywhere on the body Usually over bony prominences Colour Bright reddish brown Yellowish, translucent, Parchment like Exudation More; scab slightly raised Less; scab often lies slightly below the level of skin Microscopic Intravital reaction and congestion seen No intravital reaction No congestion